Noscapine is an:
1. Anti-tussive
2. Anti emetic
3. Anti dirrheal
4. Mucolytics

Correct answer: 1. Anti-tussive

Explanation: Ans. (a) Anti-tussiveRef.: KDT 6th ed. / 215* Forceful expulsion of air from lungs due to pulmonary irritation is called coughing. It can be productive or non- productive.* Anti-tussive is a class of drug which relieves coughing by suppressing cough center. These drugs are mainly used for dry cough. Example of anti-tussives are:# Opioids: Codeine, Phalcodeine, Ethylmorphine# Non-Opioids: NOSCAPINE, Dextromethorphan* Expectorants are class of drugs that increase bronchial secretion or reduce its viscosity (mucolytics). They are mainly used in productive cough. Example of expectorants are:# Mucolytics: Bromhexeine, Ambroxol# Bronchial secretion enhancers: Guaiphenisine, sodium or potassium citrate